Lepromin test is positive in:
1. Syphilis
2. TB
3. Lepromatous leprosy
4. Tuberculoid Leprosy

Correct answer: 4. Tuberculoid Leprosy

Explanation: Ans. D i.e. Tuberculoid Leprosy